Portal lobule is formed by:-
1. Central vein in centre and portal triad at periphery
2. Portal triad in centre and central vein at periphery
3. Around the bile ductules
4. None of above

Correct answer: 2. Portal triad in centre and central vein at periphery

Explanation: The microscopic organization of liver cells is grouped into three cell clusters. These are:- 1) Classic hepatic lobules: around the central vein 2) Portal lobules: centre around the portal triads. 3) The liver acinus centers on the pre-terminal transverse vessels and bile ductules derived from the adjacent portal triad.